Christmas disease is due to the deficiency of the following clotting factor:
1. Factor 8
2. Factor 9
3. Factor 11
4. Factor 12

Correct answer: 2. Factor 9

Explanation: Haemophilia B or Christmas disease is due to the deﬁciency of factor 9.